Fomepizole is antidote of:
1. Mushroom poisoning
2. Benzodiazepine poisoning
3. Ethylene glycol poisoning
4. Organophosphorus poisoning

Correct answer: 3. Ethylene glycol poisoning